Codons are present in
1. t-RNA
2. r-RNA
3. m-RNA
4. si-RNA

Correct answer: 3. m-RNA

Explanation: A triplet sequence of nucleotides on the mRNA is the coson for each amino acid. The codons are on the mRNA. Each codon is a consecutive sequence of three bases on the mRNA , Eg : UUU codes for phenylalanine. Reference : DM.VASUDEVAN.TEXTBOOK SEVENTH EDITION ; PAGE NO : 598